'Pityriasis versicolor' is caused by:
1. Malassezia furfur
2. Trichophyton rubrum
3. Aspergillus fumigatus
4. Nocardia versicolor

Correct answer: 1. Malassezia furfur

Explanation: Ans. A. Malassezia furfurPitvriasis versicolora. Caused by Malassezia furfurb. Involves epidermisc. Most common site is upper part of the trunkd. Wood's light is useful for diagnosis